All the following are true about measles vaccine except -
1. Given subcutaneously
2. High efficacy
3. Given below 1 year of age
4. Diluent not required

Correct answer: 4. Diluent not required

Explanation: Ans. is `d' i.e., Diluent is not required Measles Vaccination: It is a Live attenuated vaccine It is available as a freeze dried product It is most commonly produced from the HDC - Edmonston Zogreb strain Immunization is performed at a 9 months of age under the National Immunization Programme Vaccine is administrated subcutaneously in a dose of 0.5 ml. Vaccine is reconstituted with the diluting fluid The diluting fluid must be kept cold at 4-8degC. The Reconstituted vaccine must be kept in ice The Reconstituted vaccine must be used within one hour Immunity develops 11-12 days after vaccination Post exposure prophylaxis is possible if vaccine is given within 3 days of exposure The vaccine has High Efficacy. Only one dose of vaccine appears to give 95% protection Immunity appears to be of long duration, probably for life. Pregnancy is a contraindication to measles vaccination (since it is a live attenuated vaccine) Toxic shock syndrome is a totally preventable complication of measles vaccination and occurs from contaminted vials.